Formed visual hallucinations are seen in a lesion of -
1. Frontal
2. Occipital
3. Temporal
4. Arcuate fasciculus

Correct answer: 3. Temporal

Explanation: Unformed (elementary) visual hallucination:- ocular disorders, disorders of the occipital lobe, migraine.
Formed visual hallucination:- Disorders of Temporal lobe, diseases of upper brain stem or thalamus (peduncular hallucinosis).
Note:- Temporal lobe lesions can cause → Auditory, visual (formed) and olfactory hallucinations.